True about fragile-X syndrome -
1. Triple nucleotide repeat sequence
2. Chromosome breaking
3. Mitochondrial mutation
4. Centrachrome absent

Correct answer: 1. Triple nucleotide repeat sequence

Explanation: Ans. is 'a' i.e., Triple nucleotide repeat sequence Trinucleotide-repeat mutations disorders Expansion affecting coding regions Expansion affecting non-coding regions o Spinobulbar muscular atrophy (Kennedy disease) o Fragile-X syndrome o Huntington disease o Freidreich ataxia o Dentatorubral-pallidaluysion atrophy (Haw river syndrome) o Myotonic dystrophy o Spinocerebellar ataxia